A 40 year old woman was on chemotherapy for 6 months for Ovarian carcinoma. Now she presented with a progressive bilateral Sensorineural hearing loss. The Drug responsible for this includes
1. Cisplatin
2. Doxorubicin
3. Cyclophosphamide
4. Paclitaxel

Correct answer: 1. Cisplatin

Explanation: (A) Cisplatin# Platinum-containing chemotherapeutic agents, including cisplatin and carboplatin, are associated with cochleotoxicity characterized by high-frequency hearing loss and tinnitus.> Ototoxicity is less frequently seen with the related compound oxaliplatin.